The exocytosis requires which ion
1. Na+
2. K+
3. Ca+
4. Mg+2

Correct answer: 3. Ca+

Explanation: Substances that move out of cell are transported in vesicles and fuse with plama membrane to expel its contents it requires calcium and energy Ref guyton and hall textbook of medical physiology 12/e p18